Which of the following condition shows an increase in serum level of Creatinine Kinase 1 (CK 1)?
1. Myocardial ischemia
2. Brain ischemia
3. Kidney damage
4. Electrical cardioversion

Correct answer: 2. Brain ischemia

Explanation: CK-1 or CK-BB is found primarily in brain tissue. Hence it is increased in brain ischemia. Ref: Clinical Biochemistry By Jiro J. Kaneko, John W. Harvey, Michael Bruss, 1997, Page 317